Charcot's triad Except
1. Pain
2. Fever
3. Jaundice
4. Anaemia

Correct answer: 4. Anaemia

Explanation: Seen in ascending cholangitis, stone in the CBD due to impaction causes obstruction and stasis. obstruction causes jaundice and pain, stasis leads to infection, bacteremia and fever Reference SRB edition: 5 page:651